Which of the following statements about vasomotor centre (VMC) is true?
1. Independent of coiCohypothalamic inputs
2. Influenced by baroceptor signals but not by chemoreceptors
3. Acts along with the cardiovagal centre (CVC) to maintain blood pressure
4. Essentially silent in sleep

Correct answer: 3. Acts along with the cardiovagal centre (CVC) to maintain blood pressure

Explanation: The vasomotor center (VMC) is a portion of the medulla oblongata that, together with the cardiovascular center and respiratory center, regulates blood pressure and other homeostatic processes Ref: guyton and hall textbook of medical physiology 12 edition page number:201,202,203